Which of the following is not a protein misfolding disorder?
1. Tuberculosis
2. Creutzfeldt Jakob disease
3. Alzheimer's disease
4. Cystic fibrosis

Correct answer: 1. Tuberculosis

Explanation: Ans. A. TuberculosisTuberculosis is not a disorder of protein misfoldingProtein Misfolding Disordersa. Protein misfolding disorders, also known as proteopathies are conditions in which some proteins become structurally abnormal and impair the function of cells and tissues.b. Protein folding is abnormal and they fail to perform normally and may even gain toxic effects.c. e.g. Alzheimer's disease (beta amyloid peptide), Creutzfeldt Jakob disease (prion disease), Cystic fibrosis (CFTR).